In measles outbreak, measles vaccine can be given within:
1. 2-3 months
2. 3-5 months
3. 2-7 months
4. 6-9 months

Correct answer: 4. 6-9 months

Explanation: d. 6-9 months(Ref: IAP 224, Nelson's 20/e p 1381, Ghai 8/e p 193-194)In case of an outbreak, the measles vaccine can be given to infants as young as 6 completed months of age.